Pneumothorax is best demonstrated by taking a radiograph, with patient in:
1. Mid inspiration
2. End expiration
3. Full inspiration
4. Supine

Correct answer: 2. End expiration

Explanation: Ans. End expiration